Serum testosterone levels exceeding 200ng /dL is suggestive of
1. PCOD
2. Adrenal tumor
3. Metabolic syndrome
4. Ovarian Atresia

Correct answer: 2. Adrenal tumor

Explanation: Very high testosterone levels are suggestive of ovarian or adrenal androgen-producing tumor.